The potency of an inhalational anesthetic depends on:
1. Blood gas partition co-efficient
2. Oil-gas partition co-efficient
3. Gas pressure
4. Blood pressure

Correct answer: 2. Oil-gas partition co-efficient

Explanation: B i.e. Oil gas partition Co-efficient